Undertakers fracture-
1. Traumatic spondylolisthesis of C1 over C2
2. Spondylolisthesis of the lower cervical spine with tearing of C6 C7 intervertebral disc
3. Burst fracture of C3
4. Spinous process fractures of lower cervical vertebrae

Correct answer: 2. Spondylolisthesis of the lower cervical spine with tearing of C6 C7 intervertebral disc

Explanation: Ans. is 'b' i.e., Spondylolisthesis of the lower cervical spine with tearing od C6 C7 intervertebral disc o Repeat from previous sessions.